Which is false regarding ethyl silicate bonded investment?
1. Silica gel which reverts to silica on heating
2. Magnesium oxide provides strength
3. It is easy to handle and most commonly used
4. On mixing ammonium chloride silica liquid coverts to gel

Correct answer: 3. It is easy to handle and most commonly used

Explanation: ESBI is difficult to handle and not used more commonly